True about laryngeal mask airway is?
1. Prevents aspiration
2. Used in oral surgeries
3. Used in laryngeal surgeries
4. Maintains airway

Correct answer: 4. Maintains airway

Explanation: ANSWER: (D) Maintains airwayREF: Ajay Yadav 2nd ed p. 36, Fundaments of anesthesia 3rd ed by Tim Smith Colin Pinnock Ted Lin page 29A laryngeal mask airway (LMA) is an advanced airway device that is an acceptable alternative to the endotracheal tube (ETT). The LMA is composed of a tube with a cuffed mask- like projection at the end of the tube.The LMA was designed by British anaesthesiologist Archie Brain and is also known as Brains airway.'The LMA is usually suitable for minor oral surgeries only like tooth extractions but not for other oral and pharyngeal surgeries'1Advantages of LMAEasy to insertDoesn't require muscle relaxant and laryngoscope, can be inserted blindlyCan be inserted without interrupting CRPLeave the anaesthetist's hands free to manage other aspects of the anaestheticThey are not as stimulating as endotracheal tubes and will not traumatise the larynxDoesn't require any specific position of cervical spine so can be used in cervical spine injuriesDisadvantages of LMADoesn't prevent aspiration , so not used for full stomach patientsLMA does not replace the ETT (especially in longer cases and when protection from aspiration is important)However, they do not protect the airway from aspiration reliably, may become dislodged intraoperatively, and may cause as much sore throat as an endotracheal tube.Although they do not damage the larynx, the distension of the pharynx can (rarely) lead to temporary vocal cord palsy.